Savila dribbling from mouth is characteristic of
1. Postmortem hanging
2. Antemortem hanging
3. Suicidal hanging
4. Homicidal strangulation

Correct answer: 2. Antemortem hanging

Explanation: Saliva may be found dribbling from the angle of mouth when the head is dropped forward. This is due to the increased salivation before death caused by stimulation of the salivary gland by the ligature. Hence it is an antemortem hanging feature Ref: The synopsis of forensic medicine & Toxicology. Dr. K.S Narayan Reddy. 28th edition pg: 180